Facial nerve involvement in herpes zoster is known as?
1. Ramsay hunt syndrome
2. Melkersson Rosenthal syndrome
3. Jaw wrinkling syndrome
4. Frey's syndrome

Correct answer: 1. Ramsay hunt syndrome

Explanation: ANSWER: (A) Ramsay hunt syndromeREF: Harrison's 17th ed chapter 371The Ramsay Hunt syndrome, caused by reactivation of herpes zoster in the geniculate ganglion, consists of a severe facial palsy associated with a vesicular eruption in the external auditory canal and sometimes in the pharynx and other parts of the cranial integument; often the eighth cranial nerve is affected as well.